Cyclo-oxygenase-1 (COX-1) isoenzyme:
1. Is increased by inflammation
2. Is predominant mode of action of Indomethacin
3. Is increased by lipopolysaccharide ie G –ve endotoxin
4. Is NOT involved in gastric mucosal protection

Correct answer: 2. Is predominant mode of action of Indomethacin

Explanation: Option A, C & E is incorrect as Cyclo-Oxygenase -1 (COX-1) is a constitutive Enzyme.
Option B is correct as – Indomethacin does affect it as it’s nonselective.
​Option D is incorrect as COX-1, plays a central role in protection of the gastric mucosa, by helping in the synthesis of Prostaglandins.